Rabies vaccine is prepared from:
1. Liver virus
2. Street virus
3. Fixed virus
4. None of the above.

Correct answer: 3. Fixed virus

Explanation: 1. The Fixed virus is defined as a virus which is isolated after several serial intracerebral passages in rabbits and can be used for vaccine production. 2. Differences between street and fixed rabies viruses: Street virus Fixed virus Freshly isolated After serial intracerebral passages in rabbits Produce negri body Does not produce negri body Affect salivary gland Does not affect salivary gland Can cause fatal encephalitis Neurotropic but much less infective Incubation period - 1-2 weak Incubation period - 5-6 days Cannot be used for vaccine production Used for vaccine production